Which one of the following drugs is most Suitable for management of essential tremors
1. Diazepam
2. Levodopa
3. Metoprolol
4. Propranolol

Correct answer: 4. Propranolol

Explanation: Beta blockers and primidone is usually given for Essential tremor. In the above options there are only two beta blockers and both can be given, out of which propanolol is more preferred. Reference Harrison20th edition pg 2456